A 30 year old man has 6/5 vision each eye, unaided. His cycloplegic retinoscopy is +1.0 D sph. at 1 metre distance. His complaints are blurring of newsprint at 30 cm, that clears up in about two minutes. The most probable diagnosis is:
1. Hypermetropia
2. Presbyopia
3. Accommodative inertia
4. Cycloplegia

Correct answer: 3. Accommodative inertia

Explanation: In Accommodative inertia patients first notice a delay in re-focusing from near fixation to distance, due to a degree of accommodative spasm. Ref: Clinical Orthoptics By Fiona J. Rowe, 2012, Page 250